Safe water criteria include – a) Free from pathogensb) Free from harmful chemicalsc) Free from chlorined) Free from colour and odoure) Usable for agricultural purposes
1. acd
2. bcd
3. abc
4. abd

Correct answer: 4. abd

Explanation: Safe and wholesome water 

Water intended for human consumption should be both safe and wholesome.
This has been defined as :-


Free from pathogenic agents.
Free from harmful chemical substances.
Pleasant to the taste, i.e., free from colour and odour; and
Usable for domestic purposes.


Water is said to be polluted or contaminated when it does not fulfill the above criteria